The intra-abdominal pressure during laparoscopy should be set between :
1. 5-8 mm Hg
2. 10-15 mm Hg
3. 20-25 mm Hg
4. 30-35 mm Hg

Correct answer: 2. 10-15 mm Hg

Explanation: During laproscopy about 100 mL/min of gas is instilled into the peritoneal cavity, maintaining intraperitoneal pressure 15 mmHg. About 1000 mL is required for adequate pneumoperitoneum. Reference: Shaw's Textbook of Gynaecology,16th edition page no 94.